Selective medium for Vibrio cholerae ?
1. GTTA medium
2. Stuart medium
3. Skirrow's medium
4. MYPA medium

Correct answer: 1. GTTA medium

Explanation: Ans. is 'a' i.e., GTTA medium